RET gene mutation is associated with which malignancy -
1. Pheochromocytoma
2. Medullary carcinoma thyroid
3. Lymphoma
4. Renal cell carcinoma

Correct answer: 2. Medullary carcinoma thyroid

Explanation: Ans. is 'b' i.e., Medullary carcinoma thyroid o RET p ratoon cumene is a growth factor receptor (receptor tyrosine kinase)o The RET protein Is a receptor for the glial cell lined derived neurotrophic factor and structurally related proteins that promote cell survival during neural development.